Two hosts are required in -a) T. soliumb) E. histolytiocac) T. saginatad) Giardiae) Toxoplasma
1. ace
2. bde
3. cde
4. ade

Correct answer: 1. ace

Explanation: In case of T. solium: Definitive host: Man and intermediate—Pig and man
In Case of Entamoeba and Giardia infection: Only single host (man) required to complete life cycle.
In case of T. saginata: Definitive host: Man and intermediate—Cattle
In case of Toxoplasma: Definitive host: Cat and intermediate—Man and other mammals